Anganwadi Worker (AWW) is appointed for population
1. 1000
2. 5000
3. 20000
4. 30000

Correct answer: 1. 1000